Biosafety precaution grade III is practiced in all of the following organisms except?
1. Human influenza virus
2. St. louis encephalitis virus
3. Coxiella bumetti
4. Mycobacterium tuberculosis

Correct answer: 1. Human influenza virus

Explanation: Ans. is 'a' i.e., Human influenza virus Biosafety level (Biosafety grade)Persons working on microbiological research are at risk of acquiring infections from the agents they manipulate.Different guidelines have been evolved as a means of protecting microbiological workers, known as biosafety level."A biosafety level is the level of bio containment precautions required to isolate dangerous biological agents in enclosed facility".There are four levels of biosafety -Biosafety level - 1Biosafety level - 2Biosafety level - 3Biosafety level - 4Each level has guidelines for laboratory facilities, safety equipment and laboratory practices and techniques,Biosafety level - 1 (BSL -1)BSL-1 risk group contains biological agents that pose low risk to personnel and the environment.Examples - *- Agrobacterium radiobacter- Aspergillus niger- Bacillus thuringiensis- E.coli strain K-12- Lactobacillus acidophilus,- Micrococcus lcutcus- Neurospora crassa- Pseudomonas fluorescens- Serratia marccsccnsBSL-1 is found in water-testing laboratories, in high schools, and in colleges teaching introductory microbiology classes.Work is done on an open bench or in a fume hood.Standard microbiological practices are used when working in the laboratory.Decontamination can be achieved by treating with chemical disinfectants or by steam autoclaving.Lab coats are required and gloves are recommended.The laboratory work is supervised by an individual with general training in microbiology or a related science,Biosafety level-2 (BSL-2)BSL-2 risk group contains biological agents that pose moderate risk to personnel and the environment.If exposure occurs in a laboratory situation, the risk of spread is limited and it rarely would cause infection that would lead to serious disease.Effective preventive measures and treatment are available in the event that an infection occurs.* Examples -BacteriaVirusesFungi* MOTT* Adeno* Cryptococcus* Pneumococci* Calci* Candida* Streptococci* Corona* Aspergillus* Staphylococci* Herpes* Dermatophytes* Enterobacteriaceae* Influenza * E.coli * Clostridium sp. * Bacillus (except anthrax) Access to the laboratory is restricted.An autoclave should be readily available for decontaminating waste materials.Lab coats, gloves and face protection is required.The laboratory work must be supervised by a competent scientist who understand the risk associated with working the agents involved.Biosafety level -3 (BSL-3)BSL-3 risk group contains biological agents that usually produce serious disease.These agents are usually not transmitted by casual contact.The laboratory must be a separate building or isolated zone, with double-door entry, directional inward airflow.Examples :-BacteriaViruses- Anthrax- Lymphocytic chorioma- Brucellameningitis virus- Coxiella burnetii- Hantaan virus- Tularemia- St. Louis encephalitis virus- MAC- Japanese encephalitis virus- M. Tuberculosis- West Nile encephalitis vims - SARS corona vimsFungi- Coccidioides immitis - Blastomyces dermatitides- Histoplasma capsulatum- Paracoccidioides braziliensisBiosafety level- 4 (BSL-4)BSL-4 risk group contains biological agents that usually produce very serious infection that is often unbeatable.These agents are usually easily transmitted from one individual to another, from animal to human or vice-versa, either directly or indirectly, or by casual contact.Numerous special facilities and precautions are required when working with these agents.Example :-Lassa virusMarburg virusEbola virusHerpes simiac virus